A 63-year-old man presents for an elective laparoscopic cholecystectomy. He is obese, has angina at rest, and chronic obstructive pulmonary disease (COPD). Which of the following would be his American society of Anesthesiologists (ASA) physical status classification
1. ASA I
2. ASA II
3. ASA III
4. ASA IV

Correct answer: 4. ASA IV

Explanation: The patient is obese, with angina unpredictably and at rest, and COPD. His angina at rest represents a systemic disease which is unstable, and which could be life threatening. In addition, he also has another comorbidity, COPD. His classification is ASA IV.